How many fully frozen ice packs should a vaccine carrier contain?
1. 2
2. 4
3. 6
4. 8

Correct answer: 2. 4

Explanation: - Vaccine carrier contain 4 fully frozen ice-packs - Day carrier contain 2 fully frozen ice-packs